Anti-parietal cell antibodies are found in patients with?
1. Good-pasture syndrome.
2. Primary biliary cirrhosis
3. Wegener granulomatosis.
4. Pernicious anemia

Correct answer: 4. Pernicious anemia

Explanation: Ans. (d) Pernicious anemiaRef: Robbin's pathology 9th ed. /764* Anti-parietal cell antibodies are found in patients with the autoimmune disease known as pernicious anemia.* The anti-neutrophilic cytoplasmic antibodies are found in patients with Wegener granulomatosis.* Wegener granulomatosis may also present with pulmonary and renal involvement but will have associated upper respiratory tract findings, e.g, sinusitis and sinus abscesses.